The base of the heart is mainly formed by the -
1. Right atrium
2. Left atrium
3. Left ventricle
4. Right ventricle

Correct answer: 2. Left atrium

Explanation: Base of heart is formed by left and right atria. But the major part of it is by left atrium.